Which of the following statements about Pseudohypoprathyroidismistrue-
1. Caused by 'Gain of!ftmction' inherited mutation in Gsa subunit
2. Decreased formation of cyclic GMP is observed
3. Decreased formation of Inositol triphosphate is observed
4. Decreased formation of c-AMP is observed

Correct answer: 4. Decreased formation of c-AMP is observed

Explanation: decreased urinary cyclic AMP responses to PTH , presumably with a post -GS alpha defect in adenyl cyclase stimulation ( Harrison 17 pg 2394)